Hyperparathyroidism is characterized by the following except:
1. Generalized osteoporosis
2. Renal calculi
3. Hypercalcemia
4. Osteosclerosis

Correct answer: 4. Osteosclerosis

Explanation: Patients with PHPT(Primary hyperparathyroidism) formerly present with the "classic" pentad of symptoms:Kidney stonesPainful bonesAbdominal groansPsychic moansFatigue oveonesDiagnosis:- Elevated serum calcium and intact PTH or two-site PTH levels, without hypocalciuria establishes the diagnosis of PHPT